All of the following conditions are likely to be associated
with melaena except:
1. Car. of the stomach
2. Car. of the rectum
3. Chronic duodenal ulcer
4. Portal hypertension

Correct answer: 2. Car. of the rectum